A 40-year-old female, presented with a progressively increasing lump in the parotid region. On oral examinations, the tonsil was pushed medially. Biopsy showed it to be pleomorphic adenoma.The appropriate treatment is:
1. Superficial parotidectomy
2. Lumpectomy
3. Conservative total parotidectomy
4. Enucleation

Correct answer: 3. Conservative total parotidectomy

Explanation: For parotid tumors that arise in lateral lobe superficial parotidectomy with preservation of CN VII is indicated. If the tumor extends in to deep lobe of parotid, a total parotidectomy with nerve preservation is performed.